Salvage pathway of purine nucleotide synthesis are used by all except -
1. Brain
2. Liver
3. RBC
4. Leukocytes

Correct answer: 2. Liver

Explanation: Ans. is 'b' i.e.. Liver o Purine nucleotide synthesis occurs by two pathwaysDe novo synthesisSalvage pathwayo Liver is the major site of purine nucleotide biosynthesis (de novo).o Certain tissues cannot synthesize purine nucleotides by de novo palyway, e g. brain, erythrocytes and polymorphonuclear leukocytes.o These are dependent on salvage pathway for synthesis of purine nucleotides by using exogenous purines, which are formed by degradation of purine nucleotides synthesized in liver.